Specific stain for myeloblasts is -
1. Sudan black
2. PAS
3. Myeloperoxidase
4. LAP

Correct answer: 3. Myeloperoxidase

Explanation: Ans. is 'c' i.e., Myeloperoxidaseo Myeloperoxidase stainDistinguishes between the immature cells in acute myeloblastic leukemia (cells stain positive) and those in acute lymphoblastic leukemia (cells stain negative).o Sudan black B stainThis stain distinguishes between acute lymphoblastic leukemia (cells stain positive) and acute myeloblastic leukemia (cells stain negative).o Periodic acid-Schiff stain (PAS)Is primarily used to identify erythroleukemia, a leukemia of immature red blood cells.o Terminal deoxvnucleotidyl transferase stain (TdT)Differentiates between acute lymphoblastic leukemia (cells stain positive) and acute myelogenous leukemia (cells stain negative).o Leukocyte alkaline phosphatase (LAP)Is used to determine if an increase of cells is due to chronic myelogenous leukemia or a noncancerous reaction to an infection or similar conditions. Cells from a noncancerous reaction stain positive with many intense blue granules; cells from chronic myelogenous leukemia have few blue granules.o Tartrate-resistant acid phosphatase stain (TRAP)Is primarily used to identify hairy cell leukemia cells.o Leukocyte specific esteraseThis stain identifies granulocytes, which show red granules.